Not a testicular tumor marker -
1. a-1 antitrypsin
2. HCG
3. Alfa feto protein
4. CA-125

Correct answer: 4. CA-125

Explanation: Answer- D. CA-125CA-125 is an ovarian tumor marker.